Highest amount of Vitamin D is present in
1. Sunlight
2. Shark liver oil
3. Cod liver oil
4. Halibut fish liver oil

Correct answer: 4. Halibut fish liver oil

Explanation: Sources of Vitamin D Vitamin D is unique because it is derived both from sunlight and foods (a) Sunlight : Vitamin Dis synthesized by the body by the action of UV rays of sunlight on 7-dehydrocholesterol, which is stored in large abundance in the skin. Exposure to UV rays is critical; these can be filtered off by air pollution. Dark-skinned races such as Negros, also suffer from this disadvantage because black skin can filter off up to 95 per cent of UV rays. (b) Foods : Vitamin D occurs only in foods of animal origin. Liver, egg yolk, butter and cheese, and some species of fish contain useful amounts. Fish liver oils, although not considered to be a food, are the richest source of vitamin D. Human milk has been shown to contain considerable amounts of water-soluble vitamin D sulphate. Other sources of vitamin D are foods artificially fortified with vitamin D, such as milk, margarine, vanaspati and infant foods. Dietary sources of vitamin D are as given in Table Ref: Park 25th edition Pgno : 653